Birth length of the baby doubles at
1. 6 months of age
2. 1 year of age
3. 2 years of age
4. 4 years of age

Correct answer: 4. 4 years of age